In Myocardial infarction, the most specific marker is
1. Pro-Brain Natriuretic Peptide
2. Myoglobin
3. Troponin T
4. CPK MB

Correct answer: 3. Troponin T

Explanation: Troponin T is the most specific marker of Myocardial infarction.